True for a 2yrs old boy is
1. Weight four times that of birth weight
2. Rides bicycle
3. Climbs up and down the stairs with alternating steps
4. Ossification center for radius head appears

Correct answer: 1. Weight four times that of birth weight

Explanation: At 2yrs weight becomes 4 times that of birth ( at birth 3kgs, at 2yrs 12kgs) A child is able to ride a bicycle by the age of 3yrs A child is able to climb up and down the stairs at 4yrs Ossification center for radius head appears at 3-4 yrs of age. Ref: Ghai ,9th edition, chapter 2 & 3.